All are true about bile duct injury except
1. Incidence is equal in laparoscopic and open cholecystectomy
2. After experience of 20 cases, bile duct injury rate Decreases
3. Errors leading to Laparoscopic bile duct injuries stem from misperception, not errors of skill, knowledge or judgement
4. Primary cause of error in most cases is visual Perceptual illusion

Correct answer: 1. Incidence is equal in laparoscopic and open cholecystectomy

Explanation: Most benign strictures follow iatrogenic bile duct injury Most commonly during laparoscopic cholecystectomy Incidence of bile duct injury during open cholecystectomy is 0.1-0.2 % Incidence of bile duct injury during laparoscopic cholecystectomy is 0.3-0.85 % Ref: Sabiston 20th edition Pgno : 1501-1504